Most common side effect of haloperidol ?
1. Hypotension
2. Akathasia
3. Dryness of mouth
4. Tic disorder

Correct answer: 2. Akathasia

Explanation: Ans. is 'b' i.e., Akathasia 75% of patients experience extrapyramidal symptoms (Akathisia, Parkinsonism, acute muscular dystonia) with all classical (typical) antipsychotics. Haloperidol is a typical antipsychotic.